A 59 year old man with severe myxomatous mitral regurgitation is asymptomatic, with a left venricular ejection fraction of 45% and an end systobc diameter index of 2.9 cm/m2. The most appropriate treatment is
1. Mitral valve repair or replacement
2. No treatment
3. ACE inhibitor therapy
4. Digoxin and diuretic therapy

Correct answer: 1. Mitral valve repair or replacement

Explanation: Surgery for chronic, nonischemic, severe MR is indicated once symptoms occur, especially if valve repair is feasible. Other indications for early consideration of mitral valve repair include recent-onset AF and pulmonary hypertension, defined as a PA pressure >=50 mmHg at rest or >=60 mmHg with exercise. Surgical treatment of chronic, nonischemic severe MR is indicated for asymptomatic patients when LV dysfunction is progressive, with LVEF falling below 60% and/or end-systolic dimension increasing beyond 40 mm. ( Harrison's principle of internal medicine,18th edition,pg no.1936 )